A young lady presents to your office with complain of copious vaginal discharge, but there is no cervical discharge on per speculum examination. Which of the following should be given for the management
1. Metronidazole and fluconazole
2. Metronidazole and azithromycin
3. Metronidazole and doxycycline
4. Fluconazole only

Correct answer: 1. Metronidazole and fluconazole

Explanation: Ans.'a'Metronidazole and fluconazole